"Annular herald patch" is found in
1. Pityriasis alba
2. Pityriasis rosea
3. Tinea capitis
4. Psoriasis

Correct answer: 2. Pityriasis rosea

Explanation: Pityriasis roses is characterised by herald patch/ mother patch it is the first manifestation of disease in 50% of patients it is a well defined erythematous oval or round lesion 2-10 cm diameter with typical colarette of scale at the margin Most common sites - chest back,abdomen extremities. widespread rash appear after herald patch in a span of 5-15 days.